Chromophobe variant of Renal cell carcinoma is associated with:
1. VHL gene mutations
2. Trisomy of 7 and 17 (+7, +17)
3. 3 p deletions (3p-)
4. Monosomy of 1 and Y (-1, -Y)

Correct answer: 4. Monosomy of 1 and Y (-1, -Y)

Explanation: Cytogenetic examination of chromophobe RCC shows multiple and complex losses of chromosome Y, 1, 2, 6, 10, 13, 17, 21. Hypoploidy and various other chromosome losses (-1, -Y) are detectable in Chromophobe variant of Renal cell carcinoma. Ref: Harrison's Principles of Internal Medicine, 16th Edition, Page 541; Renal Cancer By Stadler, Walter, 2011, Page 263; Sternberg's Diagnostic Surgical Pathology Review By Pier Luigi DiPatre, Darryl Caer, Stephen S. Sternberg, Page 205